All of the following are true regarding enoxaparin EXCEPT:
1. It has higher and predictable bioavailability
2. It act by inhibiting both factor Ila and factor Xa
3. Monitoring is not required
4. It has more favorable pharmacokinetics

Correct answer: 2. It act by inhibiting both factor Ila and factor Xa

Explanation: Ref KDT, 6th ed. pg. 599-600* Low molecular weight heparin, Enoxaparin, inhibits only factor Xa whereas unfractionated heparin inhibits both factor IIa and factor Xa.